Therapeutic drug monitoring is done for all the following except:
1. Phenytoin
2. Metformin
3. Tacrolimus
4. Cyclosporin

Correct answer: 2. Metformin